Maximum refraction takes place between
1. Air tear film
2. Tear film and cornea
3. Cornea and aqueous
4. Aqueous lens

Correct answer: 1. Air tear film

Explanation: Ansa. Air tear film